1 grayis -
1. I rad
2. 100 rad
3. 1 rem
4. 100 rem

Correct answer: 2. 100 rad

Explanation: Ans. is 'b' i.e., 100 rad o 100 Rad is equal to 1 gray or 1 rad is equal to 0[?]01 gray.Quantity measuredOld unitNew (SI) unit RadioactivityCurieBecquerel1 curie = 3[?]7 x 1010 Becquerel1 Becquerel = 2[?]7 x 10-11 curieRadiation exposureRoentgenColumb/cm Absorbed doseRadGray (Gy)100 rad = 1 Gray1 rad = 0[?]01 GrayDose equivalentRemSievert (Sv)100 Rem = 1 Sievert1 Rem = 0[?]01 Sievert